The retention of dowel in a pin retained crown is increased by
1. Increased length, smooth surface and increased taper.
2. Increased length, serrated surface and increased taper.
3. Increased length, smooth surface and parallel sides.
4. Increased length, serrated surface and parallel sides.

Correct answer: 4. Increased length, serrated surface and parallel sides.

Explanation: Post should be at least 2/3 the root length, parallel sided and serrated for increased retention in the canal